Finasteride has efficacy in the prevention of male pattern baldness by virtue of its ability to:
1. Competitively antagonize androgen receptors
2. Decrease the release of gonadotropins
3. Inhibit the synthesis of testosterone
4. Reduce the production of DHT

Correct answer: 4. Reduce the production of DHT